Which of the following can cause an increase in the prevalence of the disease -
1. Immigration of healthy persons
2. Increased cure rate of disease
3. Longer duration of illness
4. Decrease in population

Correct answer: 3. Longer duration of illness

Explanation: Derived Factors that increase Prevalence 

Prevalence increases with addition of diseased people (immigration)
Prevalence increases with subtraction of healthy people (emigration)
Prevalence increases with prolongation of life in chronic diseases
Prevalence increases with decreased death rate amongst diseased

Derived Factors that decrease Prevalence 

Prevalence decreases with addition of healthy people (immigration)
Prevalence decreases with subtraction of diseased people (emigration)
Prevalence decreases with increased cure rates
Prevalence decreases with increased death rates
Prevalence decreases with preventive programs such as immunization (which prevent new cases from occurring).